Cushing's disease is associated with:
1. Increased ACTH and increased cortisol
2. Increased urinary Catecholamines
3. Increased ADH
4. Decreased ACTH and increased cortisol levels

Correct answer: 1. Increased ACTH and increased cortisol

Explanation: Answer is A (Increased ACTH and increased Cortisol) Cushing's disease refers to increased production of Cortisol (T Cortisol) by Adrenals secondary to an ACTH producing tumor (1st ACTH) in the pituitary gland. It is thus associated with increased levels of ACTH and Cortisol. Only an individual who has (increased cortisol due to) an ACTH producing pituitary tumor is defined as having Cushing's disease, whereas Cushing's syndrome refers to all causes of excess cortisol' - Harrison Increased urinary catecholamines is a feature of pheochromocvtoma and not Cushing's disease.